Enzyme that protects the brain from free radical injury is?
1. Myeloperoxidase
2. Superoxide dismutase
3. MAO
4. Hydroxylase

Correct answer: 2. Superoxide dismutase

Explanation: Ans. (b) Superoxide dismutaseRef: Robbin's pathology 9th ed. I48, 80* Antioxidant enzymes include glutathione peroxidase, SOD and catalase.* Deficiency of SOF 1 gene may result in motor neuron disorder.